Prognosis of carcinoma breast depends on
1. Lymph node status
2. Size of tumor
3. Skin involvement
4. Peude orange

Correct answer: 1. Lymph node status

Explanation: ”Metastasis to ipsilateral axillary nodes predicts outcome are surgery more powerfully than tumor size does.
The single most important predictor of 10 and 20-year survival rates in breast cancer is the number of axillary lymph nodes involved with metastatic disease.